Most common bacterial cause of Rhinitis is
1. Haemophilus influenza
2. E.coli
3. Pasturella multocida
4. Cornybacterium diphtheria

Correct answer: 1. Haemophilus influenza

Explanation: Secondary Invaders Streptococcus haemolyticus Pneumococcus Staphylococcus Haemophilus influenza Klebsiella Ref : Dhingra 7e pg 171.